Hypergastrinemia with hypochlorhydria is seen in -
1. Zollinger Ellison Syndrome
2. VIPoma
3. Penicious anemia
4. Glucagonoma

Correct answer: 3. Penicious anemia